Adenylate cyclase converts
1. ATP to ADP
2. ADP to ATP
3. ATP to cAMP
4. AMP to ADP

Correct answer: 3. ATP to cAMP

Explanation: Adenylate cyclase (calmodulin-sensitive) trimer, Bacillus anthracis Epinephrine binds its receptor, that associates with a heterotrimeric G protein. The G protein associates with adenylyl cyclase, which converts ATP to cAMP, spreading the signs